Fimbrectomy done in following procedure?
1. Pomeroy
2. Uchida
3. Kroners
4. Parkland

Correct answer: 3. Kroners

Explanation: Ref. The Short Textbook of Obstetrics. Page. 478